Spasmodic dysmenorrhoea isseen in :
1. DUB
2. Ovarian cyst
3. Submucus fibroid
4. Endometriosis

Correct answer: 3. Submucus fibroid

Explanation: Submucus fibroid